Space of Disse is in -
1. Spleen
2. Lymphnode
3. Liver
4. Bone

Correct answer: 3. Liver

Explanation: Perisinusoidal space of Disse is seen in liver.